In an outbreak of cholera in a village of 2,000 population, 20 cases have occurred and 5 died. Case fatality rate is -
1. 1%
2. 0.25%
3. 5%
4. 25%

Correct answer: 4. 25%

Explanation: Ans- (D) 25% Formula - No. of deaths due to a particular Disease/Cause X 100 No of cases owing to this particular cause/disease : 5 X 100 - 25% 20 Good to know-